Biopsy of a specimen shows Psammoma bodies. It is seen in all of the following conditions, EXCEPT:
1. Follicular Ca thyroid
2. Papillary Ca thyroid
3. Serous cystadenoma of ovary
4. All of the above

Correct answer: 1. Follicular Ca thyroid

Explanation: Psammoma bodies are round, laminated, non refractile calcifications. They are seen in, Meningiomas Papillary thyroid carcinoma Serous carcinomas of the ovary Melanotic schwannoma Ref: Lee G.A., Masharani U. (2012). Chapter 42. Disorders of the Thyroid Gland. In A.K. Lalwani (Ed), CURRENT Diagnosis & Treatment in Otolaryngology--Head & Neck Surgery, 3e.